New born male baby presented with congestive heart failure. On examination enlarged fontanelles, a loud cranial bruit and following radiological finding was noted the mostly likely diagnosis:-
1. Vein of Galen malformation
2. Dandy walker syndrome
3. Pneumocephalus
4. Crouzon syndrome

Correct answer: 1. Vein of Galen malformation

Explanation: * The given image shows large midline cystic swelling and hydrocephalus in the baby* With the given information (large midline cystic swelling; hydrocephalus; congestive heart failure) it is clear that the given case is Vein of Galen malformation* Vein of Galen malformation is a misnomer as it is an AV malformation* Vein of Galen malformation is any malformation occurring at the level of great cerebral vein that causes midline cystic swelling * This large midline cystic swelling compresses the flow of CSF leading to Hydrocephalus and congestive heart failure